Main vascular supply of Little's area is all,except -
1. Septal branch of superior labial artery
2. Nasal branch of sphenopalatine artery
3. Anterior ethmoidal artery
4. Palatal branch of sphenopalatine

Correct answer: 4. Palatal branch of sphenopalatine